A patient with fibroid uterus may present with all of the following, EXCEPT:
1. Infertility
2. Pelvic mass
3. Amenorrhoea
4. Polymenorrhea

Correct answer: 3. Amenorrhoea

Explanation: Menstrual abnormalities associated with fibroids are menorrhagia, metorrhagia and dysmenorrhea. It does not cause amenorrhea. Subserous, broad ligament or cervical fibroids are unassociated with menstrual abnormalities. Other features associated with fibroids are lower abdominal pain, pressure symptoms, infertility, abortion, preterm labor, and IUGR. Ref: Textbook of gynecology by D C Dutta 4th edition Page 255 - 8; Johns Hopkins Manual of Gynecology and Obstetrics, 3rd Edition, chapter 33 - Uterine Leiomyomas.